Which index would you use to assess the severity of periodontitis in epidemiological studies of a large population?
1. PMA index
2. Gingival index
3. Periodontal index
4. Sulcus bleeding index

Correct answer: 3. Periodontal index